All of the following are close to median except
1. 2nd quartile
2. 50th percentile
3. 2nd tertile
4. 5th decile

Correct answer: 3. 2nd tertile